Maximum fat is found in -
1. Buffalo milk
2. Goat milk
3. Human milk
4. Cow milk

Correct answer: 1. Buffalo milk

Explanation: Ans. is 'a' i.e., Buffalo milkNutritive value of milks compared (value per 100 grams) BuffaloCowGoatHumanFat(g)6[?]54[?]14[?]53[?]4Protein(g)4[?]33[?]23[?]31[?]1Lactose(g)5[?]14[?]44[?]67[?]4Calcium(mg)21012017028Iron(mg)0[?]20[?]20[?]3 Vitamin C(mg)1213Minerals(g)0[?]80[?]80[?]80[?]1Water(g)8108786[?]888Energy(kcal)117677265o Fat content of milt. Buffalo > Goat > Cow > Human.o Protein content of milk: Buffalo > Goat > Cow > Human,o Lactose content of milk: Human > Buffalo > Goat > Cow.o Energy> content of milk: Buffalo > Goat > Cow > Human.